Which of the following hormones uses Phospholipase C as a messenger?
1. Angiotesin II
2. Glucagon
3. Calcitonin
4. All of the above

Correct answer: 1. Angiotesin II

Explanation: Angiotesin II